Multiple painful ulcers over glans without in duration is suggestive of –
1. LGV
2. Granuloma inguinale
3. Chancroid
4. 2° syphilis

Correct answer: 3. Chancroid

Explanation: Chancre, LGV, Donovanosis Indurated ulcer (firm induration).
HSV Non-indurated ulcer.
Chancroid → Can be both either Non-indurated or soft induration (but there is no firm induration, therefore usually considered as non-indurated).